Principle mode of heat exchange in an infant incubator is
1. Radiation
2. Evaporation
3. Convection
4. Conduction

Correct answer: 3. Convection

Explanation: WORKING PRINCIPLE : light bulbs heat air in the bottom part of the incubator,the air passes over a container with evaporating water, so that its humidity increases,the warm, humid air then flows upwards (chimney effect) into the baby compartment Reference: GHAI Essential pediatrics, 8th edition.